Which of the following ligament is not attached to talus ?
1. Talonavicular ligament
2. Spring ligament
3. Deltoid ligament
4. Cervical ligament

Correct answer: 2. Spring ligament

Explanation: Ans. is 'b' i.e., Spring ligament